Secondary granules in neutrophil is
1. Lactoferrin
2. Proteolytic enzymes
3. Nucleotidase
4. Catalase

Correct answer: 1. Lactoferrin

Explanation: Neutrophils have two types of granules; primary (azurophilic) granules (found in young cells) and secondary (specific)granules (which are found in more maturecells). Specific granules are secretory vesicles found exclusively in cells of the immune system called granulocytes. It is sometimes described as applying specifically to neutrophils, and sometimes the term is applied to other types of cells.